True about esmolol is:
1. It has no intrinsic sympathomimetic activity
2. It is a cardioselective β–blocker
3. It can precipitate heart failure
4. All of these

Correct answer: 4. All of these